Egg shell calcifications can be seen in Sarcoidosis Silicosis Aspergillosis Pulmonary artery hypertension Amyloidosis scleroderma
1. 1,2,3,4
2. 1,2,4,5
3. 1,2,3,6
4. 1,2,5,6

Correct answer: 4. 1,2,5,6

Explanation: Egg shell calcification is peripheral rim like calcifications seen in cases of Sarcoidosis, Silicosis,Pneumoconiosis.